Which of the following is TRUE regarding pearl index?
1. Failures per 1000 women-years of exposure
2. Failures per 100 women-years of exposure
3. Failures per 10 women-years of exposure
4. Failures per women-years of exposure

Correct answer: 2. Failures per 100 women-years of exposure

Explanation: The pearl index is defined as number of failure per 100 woman years of exposure. The denominator is the total months or cycles of exposure from the onset of method until completion of study. The Pearl Index is sometimes used as a statistical estimation of the number of unintended pregnancies in 100 woman-years of exposure.